Most radiosensitine tumor of the following is -
1. Ca glottis
2. Ca nasopharynx
3. Ca subglotic area
4. Ca thyroid

Correct answer: 2. Ca nasopharynx